Heart rate is decreased by:
1. Propranolol
2. Isoprenaline
3. Dopamine
4. Dobutamine

Correct answer: 1. Propranolol